Most common cause of SABE is:
1. Staph
2. Streptococcus
3. E.coli
4. Haemophilus

Correct answer: 2. Streptococcus

Explanation: Streptococcus